Avascular necrosis is a complication of:
1. Fracture of talus
2. Fracture of medial condyle of femur
3. Olecranon fracture
4. Radial head fracture

Correct answer: 1. Fracture of talus

Explanation: FRACTURE TALUS (NECK) Talus is the major weight bearing structure and it has a vulnerable blood supply Common site for post-traumatic ischemic necrosis. The body of talus is supplied mainly by vessels which enter the talar neck from the tarsal canal. In fractures of the talar neck these vessels are divided; if the fracture is displaced the extraosseous plexus too may be damaged and body of talus becomes ischemic. Other fracture in which AVN is a complication: Fracture neck of femur Fracture waist scaphoid